Pseudopapillitis is seen in –
1. Myopia
2. Hypermetropia
3. Squint
4. Presbyopia

Correct answer: 2. Hypermetropia

Explanation: Pseudopapillitis is seen in hypermetropia.